Plasmapheresis is indicated in each of the following except-
1. Hemolytic-Uremic syndrome
2. Goodpasture's syndrome
3. Nephrotic syndrome
4. Land Guillain-Barre syndrome

Correct answer: 3. Nephrotic syndrome

Explanation: Diseases that can be treated with plasmapheresis are idiopathic pulmonary fibrosis Goodpasture's syndrome Hemolytic-Uremic syndrome Guillain-Barre syndrome hyperviscosity syndromes REF:DAVIDSON'S PRINCIPLES AND PRACTICE OF MEDICINE 22nd EDITION